A man 25-yrs-old presents with renal failure. His uncle died of renal failure 3 yrs ago. On slit lamp examination, keratoconus is present. Diagnosis is -
1. ADPCKD
2. ARPCKD
3. Aloport's syndrome
4. Denysh-Drash syndrome

Correct answer: 3. Aloport's syndrome